Which among the following is the earliest to be detected by an antenatal USG?
1. Anencephaly
2. Down's syndrome
3. Gender
4. Cleft palate

Correct answer: 1. Anencephaly

Explanation: Anencephaly can be detected as early as 10 weeks of pregnancy and the diagnosis is 100% accurate.